Measles vaccination is given at the age of:
1. Birth
2. 9 months
3. 1 1/2 yrs
4. 2 months

Correct answer: 2. 9 months

Explanation: Ans: b (9 months)Ref Park, 20th ed. Pg. 113Another simple questionJust go through the Indian National Immunization Schedule.National immunization schedule(a) For infants At birth BCG and OPV - 0 dose At 6 weeks BCG (if not given at birth) DPT-1 and OPV- lAt 10 weeks DPT-2 and OPV-2At 14 weeks DPT-3 and OPV-3at 9 months measles(b) At 16-24 months-DPT and OPV(c) 5- 6 years-DT The second dose of DT should be given at an interval of one month if there is no clear history or documented evidence of previous immunization with DPT.(d) At 10 and 16 years- TT. The second dose of TT should be given at an interval of one month if there is no clear history or documented evidence of previous immunization with DPT, DT, or TT vaccines(e) For pregnant women-early in pregnancy- TT-1 or Booster one month after TT-1, TT-2 should be given